Medial arch of foot is made up of?
1. Deltoid ligament
2. Spring ligament
3. Short plantar ligament
4. Long plantar ligament

Correct answer: 2. Spring ligament

Explanation: Ans. (b) Spring ligamentRef: Gray's Anatomy 39th edp 1512, Keith L. Moore 4thed / 400, different google books resources